The syndrome of inappropriate and antidiuretic hormone is characterized by the following -
1. Hyponatremia and urine sodium excretion > 20 meq/I
2. Hypernatremia and urine sodium excretion > 20 meq/I
3. Hyponatremia and hyperkalemia
4. Hypernatremia and hypokalemia

Correct answer: 1. Hyponatremia and urine sodium excretion > 20 meq/I